About foreign body in a child true is -a) Unilateral fetid dischargeb) Presents with unilateral nasal obstructionc) Has torrential expistaxisd) Inanimate is more common than animatee) Always removed under GA
1. acd
2. abd
3. abc
4. ab

Correct answer: 2. abd

Explanation: A nasal foreign body is anything that gets stuck inside the nose. Inanimate foreign body (object) is more common than animate foreign body. Common objects found in noses include food material (peas, beans, nuts), tissue paper, beads, toys and rocks.

Clinical features

Unilateral foul smelling discharge in a child is pathognomic of a foreign body.
It can lead to vestibulitis.
Pain or difficulty in breathing.
Epistaxis

Treatment

Treatment includes removal with forceps or blunt hook under local anaesthesia.